Normal PCWP with pulmonary oedema is seen in -
1. Left atrial myxoma
2. High altitude
3. Pulmonary vein obstruction
4. Pulmonary artery obstruction

Correct answer: 2. High altitude

Explanation: HIGH ALTITUDE PULMONARY EDEMA : Though it remains a topic of intense investigation, multiple studies and reviews over the last several years have helped to elucidate the proposed mechanism of HAPE. The inciting factor of HAPE is the decrease in partial pressure of arterial ).The resultant ) secondary to ) with over-distention of the capillary beds and increased may not in itself be sufficient to explain the development of Ref Harrison 20th edition pg 1456